In a specimen of kidney, fibrinoid necrosis is seen and onion peel appearance is also present. Most probable pathology is:
1. Hyaline degeneration
2. Hyperplastic arteriosclerosis
3. Glomerulosclerosis
4. Fibrillary glomerulonephritis

Correct answer: 2. Hyperplastic arteriosclerosis

Explanation: Histological alterations characterizing blood vessels in malignant hypertension. ? Hyperplastic arteriosclerosis Fibrinoid necrosis of arterioles: Onion-skinning (concentrically arranged smooth muscle with collagen).